Splenectomy is contraindicated in which of the following haemolytic anemia:
1. Stomatocytosis
2. Elliptocytosis
3. Sickle cell disease
4. All of the above

Correct answer: 1. Stomatocytosis

Explanation: Stomatocytosis: This rare condition with autosomal dominant inheritance draws its name (mouth-like cells) from the fact that the normally round-shaped central pallor of red cells is replaced by a linear-shaped central pallor. Hemolysis is usually relatively mild. Splenectomy is contraindicated as it has been followed in a majority of cases by severe thromboembolic complications. Ref: Harrison's principle of internal medicine 17th Edition, Chapter 101.